Which of the following dyes is used for detection of enamel caries?
1. Acid red system
2. Zygo ZL-22
3. α - Aminoacridine
4. All the above

Correct answer: 2. Zygo ZL-22

Explanation: CARIES DETECTION DYES
 
Enamel Caries: 

0.5% Basic fuschin 
Zygo ZL-22 
Fuschin

Dentinal Caries:

Acid red system 
α - Aminoacridine